Dermatitis herpetiformis is associated with all of the following except:
1. Gluten sensitive enteropathy
2. Enteral lymphoma
3. Atrophic gastritis
4. Ulcerative colitis

Correct answer: 4. Ulcerative colitis

Explanation: Ans. D: Ulcerative Colitis Patients with coeliac disease sometimes suffer from other autoimmune conditions possibly associated with gluten intolerance. These include insulin-dependent diabetes mellitus, thyroiditis, autoimmune hepatitis, SjOgren's syndrome, Addison's disease, atrophic gastritis and alopecia areata. They may also be affected by conditions that are not related to gluten intolerance. These include IgA deficiency, psoriasis, Down syndrome and primary biliary cirrhosis. Non-Hodgkin's lymphoma, affecting the intestines or any part of the body, is a serious complication of gluten enteropathy but is fortunately rare, affecting less than 1% of patients. The range of conditions less commonly induced by gluten also includes: Neurological problems including ataxia (loss of balance), polyneuropathy, epilepsy Heart problems including pericarditis and cardiomyopathy Thin dental enamel Recurrent abortions (miscarriage) Fatty liver resulting in abnormal liver function Aphthous ulcers